All are attached to coracoid process, except?
1. Coracobrachialis
2. Pectoralis minor
3. Short head of biceps
4. Long head of biceps

Correct answer: 4. Long head of biceps

Explanation: Muscles attached to scapulaMuscles attached to scapula are:Coracoid process :- Tip of the coracoid process gives origin to coracobrachialis (medially) and short head of the biceps laterally. The upper surface receives insertion of pectoralis minor.Spine of scapula and acromion process :- There is origin of Deltoid and insertion of trapezius.Glenoid tubercle :- Supraglenoid tubercle gives origin to the long head of biceps and infra glenoid tubercle gives origin to long head of triceps.Lateral border :- Origins of teres minor and teres major.Medial border :- Insertions of serattus anterior (anteriorly); and rhomboideus major, rhomboideus minor and levator scapulae (posteriorly).Costal (anterior) surface (origin) :- Subscapularis.Dorsal surface (origins) :- Supraspinatus, infraspinatus and at inferior angle lattismus dorsi.